All of the following statements regarding adult polycystic kidney disease are TRUE, EXCEPT:
1. Autosomal dominant inheritance
2. Hypertension is rare
3. Can be associated with cysts in liver, lungs and pancreas
4. Pyelonephritis is common

Correct answer: 2. Hypertension is rare

Explanation: Hypertension is a common finding associated with ADPKD due to increased activity of the renin-angiotensin system. ADPKD is a systemic disorder resulting from mutation in either the PKD1 or PKD2 gene. IN 90%cases, it is inherited in an autosomal dominant fashion. Phenotypic heterogeneity is a hallmark feature of this condition. Patients presenting signs and symptoms includes abdominal discomfort, hematuria, urinary tract infection, incidental discovery of hypertension, abdominal masses, elevated serum creatinine, and cystic kidneys on imaging studies. Extrarenal manifestations of ADPKD are: Subarachnoid and cerebral hemorrhage from a ruptured intracranial aneurysm Mitral valve prolapse and aortic regurgitation Hepatic cysts Colonic diverticula Abdominal wall and inguinal hernias Ref: Harrison's Principles of Internal Medicine 18e chapter 284.